Which of the following conditions produce a seborrheic dermatitis like lesions in an infant?
1. Langerhan cell histiocytosis
2. Juvenile xanthogranuloma
3. Multicentric histiocytosis
4. Erdheim Chester disease

Correct answer: 1. Langerhan cell histiocytosis

Explanation: All the above mentioned optionscare disorders of histiocytes. In langerhan cell histiocytosis, bone, lymph node and skin are the most frequently affected sytems. The most characteristic presentation is with scalp involvement. which is erythematous with greasy scales, looking very like seborrheic dermatitis. S100 Paraffin, peanut agglutinin, Placental alkaline phosphatase are the common used immunological markers.